Function of hepatic kupffer cells is
1. Formation of sinusoids
2. Vitamin A storage
3. Increase blood perfusion
4. Phagocytosis

Correct answer: 4. Phagocytosis

Explanation: Kupffer cells Kupffer cells, derived from the macrophage - monocyte system Are irregular stellate - shaped cells that also line the sinusoids, insinuating between endothelial cells Phagocytic, play a major role in the trapping of foreign substances and initiating an inflammatory response MHC-II antigens are expressed on kupffer cells but do not confer efficient antigen presentation compared with macrophages elsewhere in the body Ref: Sabiston 20th edition Pgno :1430